Apnea in infant is
1. > 10 sec
2. > 20 sec
3. > 30 sec
4. > 40 sec

Correct answer: 2. > 20 sec

Explanation: Apnea may be defined as cessation of respiraton for 20s with or without bradycardia and cyanosis or for shorter periods if it is associated with bradycardia and cyanosis.Apnea is a central problem in preterm neonates.It could be central ,obstructive, or mixed. In preterm neonates it occurs in 2-5 th day of life and is because of the immaturity of the developing brain.Central apnea can also occur due to pathological causes like sepsis,metabolic problems,temperature instability,respiratory distress, anemia ,polycytemia. Treatment:supportive,underlying cause corrected.Drugs used include aminophylline and caffeine. Ref : ESSENTIAL PEDIATRICS,O.P.GHAI,PG NO:146,7th edition